Direct Coomb's test detects
1. Antibodies attached to RBC surface
2. Antibodies in the serum
3. Antigens attached to RBC surface
4. Antigens in the serum

Correct answer: 1. Antibodies attached to RBC surface

Explanation: Ans. is 'a' i.e., Antibodies attached to RBC surface